A 8 years old male had non blanching rashes over the skin and swelling of knee joint with hematuria +++ and protein + in urine. Microscopic analysis of his renal biopsy specimen is most likely to show:
1. Tubular necrosis
2. Visceral podocyte fusion
3. Mesangial deposits of IgA
4. Basement membrane thickening

Correct answer: 3. Mesangial deposits of IgA

Explanation: c. Mesangial deposits of IgA(Ref: Nelson's 20/e p 1612, Ghai 8/e p 632)The given case scenario (palpable purpura, arthritis, hematuria and proteinuria) suggests a diagnosis of Henoch Schonlein purpuraIn H.S. purpura and IgA nephropathy, IgA deposits are present in mesangium (by immunofluorescence)